Which drug is used in amytrophic lateral sclerosis?
1. Riluzole
2. Glatirame
3. Tacrine
4. Olanzapine

Correct answer: 1. Riluzole

Explanation: Ans. is 'a' i.e., Riluzole Drugs used in neurodegenerative disordersHuntington's choreao There is overactivity of dopamine due to loss of GABAergic neurons in the striatum. Thus D, blockers like chlorpromazinef haloperidol as wrell as olanzapine are useful in the treatment of this disease. Reserpine also act by depleting central monoamines. Tetrabenazine (a dopamine depleter) has been approved recently for Huntington's chorea.Multiple sclerosiso Beta-interferon or glatirame decrease the frequency of relapses in relapsing remitting MS. Recently, natalizumab (a monoclonal antibody) has been tried.Amyotropic lateral sclerosiso Riluzole (XMDA antagonist) is useful in ALS. To relieve spasticity' Baclofen may be used.